Net reproduction rate is ?
1. Number of live births per 1000 mid-year population
2. Number of live birth per 1000 women of child bearing age
3. Number of daughters a newborn girl will have during life time
4. None of the above

Correct answer: 3. Number of daughters a newborn girl will have during life time

Explanation: Ans. is 'c' i.e., Number of daughters a newborn girl will have during life time Net reproduction rate Net reproductive rate is defined as "The no. of daughters a new born girl will bear during her lifetime assuming fixed age specific fertility and mortality rates" It is the only fertility related statistics which also takes mortality rates into consideration. NRR of one is equivalent to attaining approximately the two child norms. Goal of NRR=1 can be achieved only if atleast 60%* of the eligible couples are effectively practicing family planning.